Water lily appearance in chest X-ray suggestive of the following condition:
1. Bronchiectasis
2. Bronchopleural fistula
3. Hydatid cyst
4. Sequestration cyst of lung

Correct answer: 3. Hydatid cyst

Explanation: Chest X-ray finding of hydatid cyst of the lung: Dense homogenous opacity Collapsed laminated membrane produces an irregular projections in a fluid level due to rupture of the cyst- 'Water-lily appearance' Crescentic cap of air, when it communicates into bronchial tree Ref: Srb's Manual of Surgery By Bhat, 2012, Page 1205.